ERCP in pancratitis is done to know about – a) Gall stoneb) Associated cholangitisc) Ascitesd) Pancreatic divisume) Annular pancreas
1. abcd
2. abde
3. acde
4. ade

Correct answer: 2. abde

Explanation: ERCP can be used in pancreatitis to evaluate conditions which can predispose to pancreatitis (e.g. Gall stone, pancreatic divisum, annular pancreas) and associated biliary cholangitis.